Lorcaserin is:
1. 5HT1A agonist
2. 5HT2agonist
3. 5HT2 antagonist
4. 5HT3 antagonist

Correct answer: 2. 5HT2agonist

Explanation: Lorcaserin  is a 5HT2 agonist used in the treatment of obesity.